According to Maslow's hierarchy of needs, following is at the top of the pyramid
1. Physical needs
2. Self actualization
3. Safety
4. Esteem recognization

Correct answer: 2. Self actualization

Explanation: Maslow's hierarchy of needs from base to top: Physiological, safety, love/belonging, esteem, self-actualization.They describe the pattern that human motivations generally move through.